Left Axis Deviation is seen are
1. A Positive in Lead I and Positive in Lead 11
2. B Positive in Lead I and Negative in Lead II
3. C Negative in Lead I and Negative in Lead II
4. D Negative in Lead I and Positive in Lead II

Correct answer: 2. B Positive in Lead I and Negative in Lead II

Explanation: Ans. is 'b' i.e., B Positive in Lead I and Negative in Lead II The normal QRS axis lies between -30deg and + 90". Left axis deviation is conventionally diagnosed when QRS axis lies more leftward negative than -30". A quick way to assess QRS axis is to look at leads I and II. If the QRS axis is positive in leads 1 and II then the axis is normal. If the QRS complex positive in lead I and negative in lead II left axis deviation. If the QRS complex is negative in lead I and positive in lead II right axis deviation. Negative QRS complexes in both leads I and II most commonly indicates -4 incorrect positioning of the limb electrodes.